All of the following are true of management of overt diabetic patients during pregnancy, EXCEPT?
1. Insulin is most preferred drug ,if required, for glycemic control
2. Targeted sonography should be performed between 18 and 20 weeks to rule out fetal anomalies.
3. Metformin and Glyburide are oral hypoglycemics, safe for use in pregnancy
4. A Glucose Tolerance Test (GTT) must be performed in all patients with known diabetes at first visit

Correct answer: 4. A Glucose Tolerance Test (GTT) must be performed in all patients with known diabetes at first visit

Explanation: Maternal serum alpha-fetoprotein determination at 16 to 20 weeks is used in association with targeted sonographic examination at 18 to 20 weeks in an attempt to detect neural tube defects and other anomalies. After the first-trimester instability, a stable period ensues. This is followed by an increased insulin requirement after approximately 24 weeks . Insulin is the most preferred drug for management of diabetes in pregnancy as it does not cross placenta to cause neonatal hypoglycemia. However glyburide and metformin are also being used , they cross placenta but are not known to cause any fetal side effects. Please not that GCT and GTT are screening tests and are not to be performed in known diabetics. A blood sugar profile and HBA1c should be checked in overt diabetics at their first visit.